As a result of straddle injury, a patient had rupture of bulbar urethra. He presented with urethral bleeding and swelling in the perineum. All of the following are true regarding his management EXCEPT:
1. Suprapubic cyststomy
2. Immediate catheterization
3. Urethrography
4. Symptomatic & supportive

Correct answer: 2. Immediate catheterization

Explanation: Ans. B i.e. Immediate catheterization Urethra MC cause of urethral stricture: Trauma Part of urethra injured in pelvic fracture: Membranous urethra Mechanism of urethral injury: Fall astride a projecting object (History of blow to perineum) Triad of ruptured bulbar urethra (Avoid catheterization): - Retention of urine, - Perineal hematoma & - Bleeding from external urinary meatus